Sarcoidosis is associated with –
1. Band keratopathy
2. Systemic amyloidosis
3. Angioid streaks
4. Cataracta nigra

Correct answer: 1. Band keratopathy

Explanation: Sarcoidosis is associated with band keratopathy from metabolic derrangement resulting in hypercalcemia.